Which of the following are the objective tests of refraction ?
1. Retinoscopy
2. Refractometry
3. Keratometry
4. All the above

Correct answer: 4. All the above

Explanation: Ans. is 'd' i.e., All the above